Glucose can be synthesized from all except
1. Amino acids
2. Glycerol
3. Acetoacetate
4. Lactic acid

Correct answer: 3. Acetoacetate

Explanation: Substrates of gluconeogenesis (1) Pyruvate (2) Lactate (3) Glycerol (4) Propionic Acid (5) Glucogenic amino acid *most glucogenic amino acid -alanine (6) Both ketogenic and glucoenic amino acid (7) Any TCA intermediate (acetyl coA -not intermediate of TCA so never form gulcose) Amino acid (1) Ketogenic-leucine > lysine (2) Both ketogenic and glucogenic -t-tryptophan tyrosine threonine i-isoleucine p-phenylalanine (3) Glucogenic -other 13 amino acid